Which of the following drug is not used in the treatment of leprosy?
1. Rifampicin
2. Dapsone
3. Kanamycin
4. Clofazimine

Correct answer: 3. Kanamycin

Explanation: Ans. is 'c' i.e., Kanamycin